7. Which of the following is not a feature of Le Fort II fracture:
1. Enophthalmos
2. Malocclusion
3. Paraesthesia
4. CSF rhinorrhea

Correct answer: 1. Enophthalmos